Most important factor determining convergence of light rays on retina is:
1. Physical state of vitreous
2. Diopter power of lens
3. Curvature of cornea
4. Length of eyeball

Correct answer: 3. Curvature of cornea

Explanation: C i.e. Curvature of cornea Curvature of cornea is most important factor determining convergence of light rays on retina Q and refractory power of eye Q. Cornea is the most important refractive surface of the eye. The total diopteric power of eye is about + 60 D Q, out of which + 44 D is contributed by cornea and +16 D by the lens Q. Also, a decrease in 1 mm in curvature of cornea leads to hypermetropia of 6D while 1 mm decrease in length leads to hypermetropia of 3D.